Cell wall structure is found in all except ?
1. Staph aureus
2. Pseudomonas aeruginosa
3. Mycoplasma pneumoniae
4. Corynebacterium diphtherae

Correct answer: 3. Mycoplasma pneumoniae

Explanation: Ans. is 'c' i.e., Mycoplasma pneumoniae